Safest radiological investigation in pregnancy is-
1. CT
2. MRI
3. X-ray
4. HRCT

Correct answer: 2. MRI

Explanation: Ans is 'b' i.e. MRI * "The American college of radiology (ACR) advices that pregnant patients can undergo MRI without risks for the fetus" - MRI of fetal and maternal diseases in pregnancy; p 439Other advantaged and disadvantages of MRIAdvantagesDisadvantages* Static and cine or movie images* Multiple plane images* Good contrast* No known health hazard* No ionizing radiation* Excellent soft tissue differentiation* Good for soft tissue injuries of knee, ankle, shoulder* Better than CT in visualizing vascular structures* More expensive than CT* Long scan time may result in motion artifacts* Limited availability* Not good for calcified lesions and bone (CT is better)